Most common casue of acute RVF-
1. Massive pulmonary embolism
2. Tricuspid stenosis
3. Pulmonary stenosis
4. Tricuspid regurgitation

Correct answer: 1. Massive pulmonary embolism

Explanation: pulmonary hypertension and massive pulmonary embolism are the most important cause of acute RVF Ref Davidson 23rd edition pg 478